Deficiency of which vitamin causes glossitis, dementia, roughed keratotic areas on skin and gastrointestinal symptoms?
1. Riboflavin
2. Pyridoxine
3. Niacin
4. Pantothenic acid

Correct answer: 3. Niacin